Coarse tremors, polyuria and hypothyroidism are adverse effects of
1. Lithium
2. Haloperidol
3. Imipramine
4. Valproate

Correct answer: 1. Lithium

Explanation: Bipolar Disorder - Drug of Choice (in general)- Lithium - Drug of Choice (In pregnancy)-Atypical Antipsychotic drugs Lithium L - Leucocyte I - Increase T - Tremors (most common) H - Hypothyroidism I - Increase U - Urine M- Mother (Avoided in pregnancy as it causes Ebstein anomaly in baby i.e. Congenital tricuspid atresia)